Irresistible urge to drink alcohol is known as?
1. Kleptomania
2. Pyromania
3. Dipsomania
4. Trichotillomania

Correct answer: 3. Dipsomania

Explanation: Dipsomania REF: Kaplan and sadock 10th ed p. 773, Fundamentals of Psychiatry Allan Tasman, Wanda K. Mohr 2011-464 pages Impulse control disorder The onset of these disorders usually occurs between the ages of 7 and 15 Impulse control disorders are considered to be part of the obsessive-compulsive disorder spectrum including Kleptomania is an irresistible urge to steal items of trivial value. Dipsomania is a historical term describing a medical condition involving an uncontrollable craving for alcohol. Pyromania in more extreme circumstances can be an impulse control disorder to deliberately start fires to relieve tension or for gratification or relief Trichotillomania (a compulsion to pull one's hair out) Pathological gambling Onychophagia (compulsive nail biting) Dermatillomania (compulsive skin picking)